All of the following are true about caudate lobe except
1. Blood supply from both right and left hepatic artery
2. Ductal drainage from both right and left duct
3. Venous drainage is mainly by left and middle hepatic vein
4. Supply by both branches of portal vein

Correct answer: 3. Venous drainage is mainly by left and middle hepatic vein

Explanation: Caudate lobe Caudate lobe(Segment I), lies between left portal vein and IVC and extends to hepatic venous confluence Caudate lobe is unique because It receives blood supply from both right and left portal pedicles Bile drain into both right and left hepatic duct Venous drainage is directly into IVC Caudate lobe is anatomically divided into three parts, Spigel lobe (Segments I) Paracaval portion(Segment 9) Caudate process Ref: Sabiston 20th edition Pgno : 1422